All show iceberg phenomenon except ?
1. Influenza
2. Polio
3. Hepatitis
4. Chicken pox

Correct answer: 4. Chicken pox

Explanation: Ans. is 'd' i.e., Chicken pox In some disease, a great deal of subclinical infection occurs ? i) Rubella iii) Polio v) Japanese encephalitis vii) Influenza ii) Mumps iv) Hepatitis A and B vi) Diphtheria In chickenpox -Inapparent infection is estimated to occur in no more than 5% of susceptible children".